The best parameter for assessment of chronic malnutrition is:
1. Weight for age
2. Weight for height
3. Height for age
4. Any of the above

Correct answer: 3. Height for age

Explanation: Height for age